Arcuate field defect akin to glaucoma is seen in-
1. Pituitary tumor
2. Occipital lobe infarct
3. Optic nerve lesion
4. None of the above

Correct answer: 3. Optic nerve lesion

Explanation: Arcuate field defect akin to glaucoma seen in conditions which cause optic nerve compressions